The following are used for treatment of postoperative nausea and vomiting following squint surgery in children except:-
1. Propofol
2. Ketamine
3. Dexamethasone
4. Ondansetron

Correct answer: 2. Ketamine

Explanation: ketamine does not have antiemetic effect, among anaesthetic agent propofol has antiemetic effect. even benzodiazepine has antiemetic effect , midazolam has best antiemetic effect among them.